All of the following are pre-cancerous conditions of the lids except:
1. Naevi
2. Solar keratosis
3. Xeroderma pigmentosa
4. Carcinoma-in-situ

Correct answer: 1. Naevi

Explanation: Ans. Naevi